Mass treatment strategy is for treating -
1. Plague
2. Filariasis
3. Cholera
4. Diphtheria

Correct answer: 2. Filariasis

Explanation: Mass treatment approach is used in the Treatment of certain diseases such as yaws , pinta , bejel , trachoma and filaria. Reference; Park's Textbook of preventive and social medicine, 24th edition.Pg no. 48